Myasthenia gravis may be associated with:
1. Drug intake
2. Viral infection
3. B lymphocyte dysfunction
4. Thymoma

Correct answer: 4. Thymoma

Explanation: Ans: dRef: Harrison, 16thed, p. 2521, Table 366.3